Which of the following is the most predominant constituent of sulfur granules of Actinomycosis is ?
1. Organisms
2. Neutrophils and monocytes
3. Monocytes and lymphocytes
4. Eosinophils

Correct answer: 1. Organisms

Explanation: Ans. is 'a' i.e., Organisms